Herpes simplex encephalitis affects lobe
1. Temporal
2. Parietal
3. Occipital
4. Frontal+ Parietal

Correct answer: 1. Temporal

Explanation: (A) Temporal > Approximately 10% of patients with PCR-documented HSV encephalitis will have a normal MRI, although nearly 90% will have abnormalities in the temporal lobe